Which is not true regarding varicocele
1. Testicular veins involved
2. More common on the right side
3. May be the first feature of a renal tumour
4. Feels like a bag of worms

Correct answer: 2. More common on the right side